Heart failure cells are present in
1. Alveoli
2. Myocyte
3. Heaptocyte
4. Astrocyte

Correct answer: 1. Alveoli

Explanation: (A) Alveoli# HEART FAILURE CELLS are siderophages (hemosiderin-containing macrophages) generated in the alveoli of patients with left heart failure or chronic pulmonary edema, when the high pulmonary blood pressure causes red cells to pass through vascular wall.> Siderophages are not specific of heart failure. They are present wherever red blood cells encounter macrophages.